The HLA class-III region genes are important elements in
1. Transplant rejection phenomenon
2. Complement system
3. Immune surveillance
4. Antigen presentation and elimination.

Correct answer: 2. Complement system

Explanation: HLA class III region contains genes that encode several components of the complement system (i.e. C2, C4a, C4b, Bf), they are responsible for the levels of components of the complement system. In addition to components of the complement system, MHC III genes code inflammatory cytokines, tumour necrosis factor a and 0 (TNF a and P), two heat shock proteins (HSP) Ref : Ananthanarayana textbook of Microbiology 9th edition Pgno : 140